According to WHO guideline, all are indications for hospital admission in Pneumonia except
1. Convulsions
2. Persistent vomiting
3. Chest indrawing
4. Severe malnutrition

Correct answer: 3. Chest indrawing

Explanation: Child with chest indrawing ⇒ Pneumonia ⇒ Oral Amoxycillin
Rest are danger signs ⇒ Severe Pneumonia ⇒ Referal to hospital.